The minimum thickness of an alginate impression material should be
1. 8 mm
2. 3 mm
3. 6 mm
4. 5 mm

Correct answer: 2. 3 mm